Maximum gastric secretin occurs in -
1. Cephalic phase
2. Intestinal phase
3. Gastric phase
4. None

Correct answer: 3. Gastric phase

Explanation: Ans. is 'c' i.e.. Gastric phase o Gastric secretion has following phases1) Cephalic Phase. The cephalic phase of gastric secretion occurs even before food enters the stomach, especially while it is being eaten. It results from the sight, smell, thought, or taste of food, and the greater the appetite, the more intense is the stimulation. This phase of secretion normally accounts for about 20% of the gastric secretion associated with eating a meal.2) Gastric Phase. Once food enters the stomach, it excites (1) long vagovagal reflexes from the stomach to the brain and back to the stomach, (2),local enteric reflexes, and (3) the gastrin mechanism, all of which in turn cause secretion of gastric juice during several hours while food remains in the stomach. The gastric phase of secretion accounts for about 70 % of the total gastric secretion associated with eating a meal and therefore accounts for most of the total daily gastric secretion.3) Intestinal Phase. The presence of food in the upper portion of the small intestine, particularly in the duodenum, will continue to cause stomach secretion of small amounts of gastric juice, probably partly because of small amounts of gastrin released by the duodenal mucosa.